Mononucleosis in the blood is associated with what? SELECT ONE.
1. Human papillomavirus (HPV)
2. Epstein-Barr virus
3. HIV
4. Varicella zoster virus

Correct answer: 2. Epstein-Barr virus

Explanation: Nasopharyngeal cancer is most closely associated with Epstein-Barr virus. This virus is also associated with infective mononucleosis and Burkitt's lymphoma.